For a bitewing X-ray angulation of cone should be:
1. 10° above horizontal
2. 15° below horizontal
3. 10° below horizontal
4. 15° above horizontal

Correct answer: 1. 10° above horizontal